The drug of choice for obsessive - compulsive disorder :
1. Imipramine
2. Fluoxetine
3. Chlorpromazine
4. Benzodiazepine

Correct answer: 2. Fluoxetine

Explanation: Antidepressants are the drugs of choice for OCD. Amongst antidepressants SSRIs (fluoxetine, paroxetine, sertraline, citalopram) are the drug of choice for OCD.